Hemorrhagic cystitis is caused by:-
1. Methotrexate
2. Melphalan
3. Cyclophosphamide
4. Busulfan

Correct answer: 3. Cyclophosphamide

Explanation: Cyclophosphamide and Ifosfamide can cause hemorrhagic cystitis. This is due to the compound acrolein Mesna is used to prevent this adverse effect. Specific Adverse Effect of Anticancer Drugs See the diagram very carefully: Cisplatin: Ear look like C(so Cisplatin cause ototoxicity), similarly Kidney look like C (So Cisplatin cause nephrotoxicity) and mouth look like C (Cisplatin is most emetogenic) Tamoxifen: Eyes look like T (So, tamoxifen affects eye causing cataract and retinopathy) Vincristine and Vinblastine: The cap look like V (means vinca drugs release ADH from brain) and limbs look like V (means vinca drugs act in periphery causing peripheral neuropathy) Lungs look like B, So Bleomycin and Busulfan cause pulmonary fibrosis Heart look like D, So Doxorubicin like drugs cause cardiotoxicity Liver look like figure of six, so 6-mercaptopurine and 6- Thioguanine are hepatotoxic Only complete cycle in the diagram is of bladder, so Cyclophosphamide cause hemorrhagic cystitis.